Immunoglobulins are produced by -
1. Macrophages
2. B-cells
3. T-cells
4. NK-cells

Correct answer: 2. B-cells

Explanation: Immunoglobulin (Ig),is a large, Y-shaped protein produced mainly by plasma cells that is used by the immune systema Ref: Ananthanarayan & Panikers textbook of microbiology 9th edition pg:94